A lady has very unstable relationship with her husband always threatening to suicide, in fact, she had some poison, diagnosis is
1. Bordreline personality disorder
2. Depression
3. Avoident personality disorder
4. Histrionic personality disorder

Correct answer: 1. Bordreline personality disorder

Explanation: The borderline type is characterised by emotional instability. In addition, patient's own self-image, aims, and internal preferences (including sexual) are often unclear or disturbed. There are usually chronic feelings of emptiness. A liability to become involved in intense and unstable relationships may cause repeated emotional crises and may be associated with excessive efforts to avoid abandonment and a series of suicidal threats or acts of self-harm.The borderline type is also known as borderline personality disorder (DSM-IV-TR), the characteristic features of which include the following:1. Significant and persistent disturbance of identity of self, e.g. 'who am I'. There is marked uncertainty about major issues in life.2. Unstable and intense interpersonal relationship patterns.3. Impulsivity.4. Unstable emotional responses, with rapid shifts. Anger outbursts may occur.5. Chronic feelings of boredom or emptiness with an inability to stay alone.6. Deliberate self-harm is common in the form of self-mutilation, suicidal gestures, or accident proneness. Ref: A Short Textbook of Psychiatry, Niraj Ahuja, 7th Edition, pg. no. 117